All of the following drugs cause tachycardia except?
1. Amphetamine
2. Nifedipine
3. Theophylline
4. Clonidine

Correct answer: 4. Clonidine

Explanation: Clonidine is α2 agonist and decreases the central sympathetic outflow. It decreases blood pressure as well as heart rate.